Branched septate hyphae found on corneal smear in a case of corneal ulcer is -
1. Candida
2. Mucor
3. Aspergillus
4. Histoplasma

Correct answer: 3. Aspergillus